Unilateral cleft lip is associated with -
1. Posterior displacement of alar cartilage
2. Columella elongated
3. Always cleft palate
4. Defective sucking

Correct answer: 1. Posterior displacement of alar cartilage